A 16-year-old patient was recently diagnosed with HIV. Which of the following could be associated?
1. Distal onychomycosis
2. Proximal subungual onychomycosis
3. White superficial onychomycosis
4. Paronychia with Candida onychomycosis

Correct answer: 2. Proximal subungual onychomycosis

Explanation: Ans. B. Proximal subungual onychomycosisProximal subungual onychomycosis is an AIDS marker; nails have a characteristic white opaque appearance beginning in the region of the lunula nad extending distally under the nail plate.It's also rarest type of onychomycosis.